Gas used in rapid airbag inflation
1. Sodium azide
2. Nitrocellulose
3. Mercuric nitrate
4. Potassium nitrate

Correct answer: 1. Sodium azide

Explanation: Chemistry of airbagsThe inclusion of airbags in the modern automobiles has led to decrease in the automobile injuries The term airbag is a misnomer as air is not involved in the inflation processRather an airbag inflates rapidly (in about 30ms) due to explosive production of N2 gas. Sodium azide is used which rapidly decomposed to nitrogen gas(Refer: Morgan and Mikhail's Clinical Anaesthesiology, 5th edition)